All are true about Central hypothyroidism except?
1. Craniopharyngioma
2. Treatment is done according to TSH level in plasma
3. TSH level is not a good marker for diagnosis
4. Before starting treatment check for adrenal insufficiency

Correct answer: 2. Treatment is done according to TSH level in plasma

Explanation: The value of TSH may never normalize in central hypothyroidism since the gland is already damaged. Hence, dose adjustment is based on thyroid hormone levels and clinical parameters rather than the TSH level. Craniopharyngioma is a common para-sellar tumor that can frequently infiltrate surrounding brain structures and lead development of Central hypothyroidism. The Thyroid gland in Central hypothyroidism can produce biologically inactive TSH . Hence the values of TSH can be normal amount wise but fails to produce any effects. Hence TSH is not a good marker for diagnosis. The Patient is under endocrine stress and cortisol is the stress hormone that is going to help tide over the stress. The entire stockpile of cortisol is exhausted in trying to cope with endocrine trauma of absent thyroid hormones .